Prions. True statement is:
1. Defect in protein folding
2. Cleave proteins
3. Scarpie is a human disease
4. Are non infectious

Correct answer: 1. Defect in protein folding

Explanation: Defect in protein folding